All drugs decrease the mortality in heart failure except:
1. Metoprolol
2. Enalapril
3. Telmisartan
4. Digoxin

Correct answer: 4. Digoxin

Explanation: Digoxin is used in acute CHF as well as maintenance therapy but do not retard cardiac remodelling or prolong survival in CHF patients Drugs that decrease the cardiac remodeling in a patient with CHF decrease the mortality. They are: Beta blockers (metoprolol, bisoprolol) ACE inhibitors (enalapril) ARB (telmisartan) Aldosterone antagonist (spironolactone) Note Telmisartan is an ARB which has PPAR gamma agonist activity